Provisional matrix is made up of -
1. All
2. Fibrin
3. Fibronectin
4. Fibrinogen

Correct answer: 1. All

Explanation: During wound repair, a provisional wound matrix is formed that contains platelets, fibrinogen .fibrin and fibronec